Maximum damage to the esophagus is caused by:
1. Acid
2. Alkali
3. Organophosphate
4. Kerosene

Correct answer: 2. Alkali

Explanation: Ans. (b) AlkaliRef.: The Essentials of FSM by K.S. Narayan Reddy 31st ed. / 499* Maximum damage to the esophagus is caused by ingestion of alkali as compared to acid.* Alkali causes Liquifactive necrosis which is more damaging than coagulative necrosis caused by acid.* Liquifactive necrosis is caused by hydrolytic enzymes. It attracts WBC which leads to bacterial infection and Pus formation. It can cause CNS ischemia also.* Acid causes coagulative necrosis due to coagulation of proteins. Coagulative necrosis is seen in all organs of body except brain.* MCC of coagulative necrosis is hypoxia.